Which one of the following is an abductor of vocal cords:
1. Posterior cricoarytenoid
2. Transverse arytenoids
3. Cricothyroid
4. Aryepiglotticus

Correct answer: 1. Posterior cricoarytenoid

Explanation: Ans. (a) Posterior cricoarytenoidRef: P.L. Dhingra 5th ed. / 317* All intrinsic muscles of the larynx are supplied by the recurrent laryngeal nerve except cricothyroid which is supplied by external branch of superior laryngeal nerve.* Recurrent laryngeal nerve supplies posterior cricoarytenoid, lateral cricoarytenoid, transverse and oblique arytenoids, aryepiglotticus, thyroarytenoid, thyroepiglotticus muscle.Also Know About laryngeal muscles movementsMovementMusclesNerve supply* Abduction of vocal cordsPosterior cricoarytenoids onlyRecurrent laryngeal nerve* Adduction of the vocal cordsLateral cricoarytenoidsInterarytenoidsThyroarytenoidsRecurrent laryngeal nerve* Tensor of vocal cordsCricothyroidSuperior laryngeal nerve* Relaxor of vocal cordThyroarytenoidRecurrent laryngealnerve* Elevation of larynxThyrohyoid, mylohyoid* Depression of larynxSternothyroid, sternohyoid